Which of the following is not caused by beta hemolytic Streptococcus pyogenes?
1. Liver abscess
2. Scarlet fever
3. Rheumatic fever
4. Glomerulonephritis

Correct answer: 1. Liver abscess